Lacis cells are seen in
1. JGA
2. Distal tubule
3. Proximal tubule
4. Peritubular capillaries

Correct answer: 1. JGA

Explanation: Question repeated